Which of the following agents scan cause recurrent fall in elderly patient with postural hypotension:
1. Methoxamine
2. Prazosin
3. Metformin
4. Acarbose

Correct answer: 2. Prazosin

Explanation: (Ref: Goodman & Gillman 13th ed. P 208-209)Prazosin is one of the non-selective alpha 1 antagonists used for treatment of hypertension and BPH.DOC for HTN + BPH: PrazosinDOC for BPH: Silodosin (selective a1a agonist)Side effect:# Marked Postural hypotension (orthostatic/first dose hypotension), syncope - can cause recurrent falls. Therefore, it is given at bedtime# Retrograde ejaculation